Pulsus alternans is:
1. An innocuous feature
2. Denotes severe cardiac decompensation
3. Sign of Digoxin toxicity
4. Sign of mitral incompetence

Correct answer: 2. Denotes severe cardiac decompensation